Recurrent pain abdomen with intestinal obstruction and mass passes per rectum goes in favour of ?
1. Internal herniation
2. Stricture
3. Strangulated hernia
4. Intussusception

Correct answer: 4. Intussusception

Explanation: Answer is 'd' i.e. Intussception